In NRHM, the ASHA workers are recruited from the same village. Which part of principles of Primary health care is followed here?
1. Intersectorial coordination
2. Equitable distribution
3. Appropriate technology
4. Community participation

Correct answer: 4. Community participation

Explanation: PRINCIPLES OF PRIMARY HEALTH CARE: Equitable distribution Community participation Intersectoral coordination Appropriate technology - Since ASHA workers are a part of the community itself, the principle of Community participation is followed here. - Community participation: The community should be involved in the planning, implementation and maintenance of health programs. Locally available resources - materials and man power - should be used.